20.The current treatment of choice for a large antrochoanal polyp in a 30 year old man is:
1. Intranasal polypectomy
2. Caldwell luc operation
3. Fess
4. Lateral rhinotomy and excision

Correct answer: 3. Fess

Explanation: Treatment of choice for antrochoanal polyp in a child is functional endoscopic sinus surgery (FESS) or intra-nasal polypectomy. Caldwell-Luc operation is avoided. Ref.Dhingra 6/e p 175,7e pg 510.